Ochratoxin is the mycotoxin produced by
1. Aspergillus
2. Amanita
3. Claviceps
4. Fusarium

Correct answer: 1. Aspergillus

Explanation: Ochratoxin- Aspergillus ochraceus Fusarium- sciepenols Amanita-muscarine Aspergillus-aflatoxin Ref: Baveja 5th ed pg: 562